Treatment of choice for medullary carcinoma:
1. Thyroxin therapy.
2. Radioiodine.
3. External radiation
4. Total Thyroidectomy.

Correct answer: 4. Total Thyroidectomy.